True about MHC -
1. Present on chromosome 4
2. Class II compromises A, B, C loci
3. Class III has complement
4. Class I is involved in mixed leucocyte reaction

Correct answer: 3. Class III has complement

Explanation: MHC class III genes encode several components of the complement system (i.e. C2, C4a, C4b, Bf), they are responsible for the levels of components of compliment system. Reff: Ananthanarayan & Panikers textbook of microbiology 9th edition pg: 140